Propanolol is contra-indicated in a patient of angina pectoris who is already receiving:
1. Nifedipine
2. Aspirin
3. Verapamil
4. Isosorbide mononitrate

Correct answer: 3. Verapamil

Explanation: (Ref: KDT 6/e p530) Both verapamil and propanolol decrease the conduction through AV node and their concomitant use can result in heart block.